The treatment of choice for Nasopharyngeal carcinoma is:
1. Chemotherapy alone
2. Radiotherapy alone
3. Radiotherapy & surgery
4. Surgery alone

Correct answer: 2. Radiotherapy alone